The following anaesthetic drug causes pain on intravenous adminstration:
1. Midazolam
2. Propofol
3. Ketamine
4. Thiopentone sodium

Correct answer: 2. Propofol

Explanation: B i.e. Propofol - Incidence of pain on injection after intravenous administration of drug in small vein (eg. dorsum of wrist or hand) is 80% for etomidate, 40% for propofol, 20% for methohexital 1% and 10% for thiopental 2.5% anesthetic agents - This incidence is greatly reduced if a large vein is used, if a small dose of lidocaine (10mg) is injected shortly before. Thiopental 2.5% also causes pain on IV administration but the incidence is much higher for propofol.